Glycosuria during routine investigation of antenatal visit indicates that there is need for:
1. Gestational diabetes treatment
2. Dietary control
3. Insulin treatment
4. Glucose tolerance test

Correct answer: 4. Glucose tolerance test

Explanation: INDICATIONS OF GLUCOSE TOLERANCE TEST Fasting Glucosuriaon one occasion before 20th week and on two or more occasions thereafter Following a positive 'screening test' If fasting blood sugars >92mg/dl or if that after 2hours of ingestion of 100g glucose is over 120mg/100mL However if the fasting plasma glucose value is more than or equal to 126mg/dL ,andif confirmed on repeat test the women is considered as Diabetic even without running GTT test. Reference: DC.Duttas textbook of OBG, 9th edition,page 262